Most important in aetiology of coronary artery disease is:
1. VLDL
2. LDL
3. HDL
4. All of the above

Correct answer: 2. LDL

Explanation: Ans. B: LDL Epidemiology has shown that elevated levels of cholesterol play a key role in the development of atherosclerotic disease. In particular, low density lipoprotein (LDL) cholesterol has been strongly associated with coronary heart disease (CHD) risk. Lowering LDL cholesterol reduces the incidence of atherosclerotic disease, irrespective of how the reduction is achieved.